Lethal effect of dry heat is due to ?
1. Denaturation of proteins
2. Oxidative damage
3. Toxicity due to metabolites
4. All of the above

Correct answer: 4. All of the above

Explanation: Ans. is 'd' i.e., All of the above HEAT STERILIZATION Heat is the most reliable method of sterilisation and should be the method of choice unless contraindicated. o Sterilization by heat is of two types. Dry heat Killing effect is due to protein denaturation, oxidative damage and the toxic effect of elevated metabolites.